Investigation of choice for intramedullary SOL is –
1. MRI
2. USG
3. CT
4. X–ray

Correct answer: 1. MRI

Explanation: Investigation of choice for intramedullary space occupy lesion is MRI.